The α2 agonist used in glaucoma is:
1. Guanacare
2. Guanabenz
3. Brimonidine
4. Tizanidine

Correct answer: 3. Brimonidine